Eiosinophilic meningoencephalitis is caused by -a) Gnathostoma spinigerumb) Naegleriac) Toxocara canisd) Angiostrongylus cantonensis
1. b
2. c
3. ad
4. ab

Correct answer: 3. ad

Explanation: Eosinophilic meningoencephalitis


Meningoencephalitis, in which there is > 20% eosinophilic pleocytosis in C.S.F.


Eosinophilic meningoencephilitis is caused by


Angiostrongylus cantonensis (most common)
Gnathostoma spinigerum


Naegleria causes primary amoebic meningoencephilitis but it is not an eosinophilic meningoencephalitis.